Inducing agent of choice in DIC –
1. Thiopentone
2. Ketamine
3. Methohexitone
4. Propofol

Correct answer: 2. Ketamine

Explanation: DIC (disseminated intravascular coagulation) is characterized by profound hypotension.
Ketamine is the inducing agent of choice in hypotensive conditions as it raises the BP.